Phacolytic glaucoma arises commonly from
1. Late mature cataract
2. Immature cataract
3. Hypermature cataract
4. Intumescent cataract

Correct answer: 3. Hypermature cataract

Explanation: Types of lens-induced glaucoma'sCausesMechanismPhacomorphicIntumescent cataract, Anterior subluxation or dislocation of LENs and spherophakia Swollen lens pushes iris forwards and obliterates the angle -secondary acute angle closure glaucoma-pupillary block and iris bombe formation Phacolytic Hypermature (Morgagnian) cataract Trabecular meshwork clogged by lens proteins and macrophages have phagocytosed the lens proteins -secondary open-angle glaucomaLens particle glaucoma Lens particles left after accidental. Planned ECCE, Following traumatic rupture of lens Trabecular meshwork blocked by lens particles floating in aqueous humour-secondary open-angle glaucomaGlaucoma with phacogenic uveitis Uveitis Trabecular meshwork clogged by lens proteins and macrophages have phagocytosed the lens proteins -secondary open-angle glaucomaGlaucoma with phacoanaphylaxis Inflammatory reaction due to antigen-antibody reaction Trabecular meshwork clogged by lens proteins and macrophages have phagocytosed the lens proteins -secondary open-angle glaucoma(Refer: AH Khurana, Comprehensive Textbook of Ophthalmology, 5th edition, pg: 247-48)